Which one of the cutaneous mechanoreceptors is best suited to encode the information regarding vibration at 60-300 Hz sense?
1. Meissners corpuscles
2. Merkels disks
3. Pacinian corpuscles
4. Ruffini endings

Correct answer: 3. Pacinian corpuscles